Most common symptom of alcohol withdrawal is -
1. Bodyache
2. Tremor
3. Diarrhoea
4. Rhinonheo

Correct answer: 2. Tremor

Explanation: Alcohol withdrawal symptoms:- The most common symptom is hangover on the next morning. Other common symptoms are fine tremor, nausea, vomiting, weakness, insomnia, anxiety, restlessness, irritability. Three severe withdrawal syndrome are delirium tremens, Alcoholic hallucinosis, and alcoholic seizure (rum fits).